Which is the most common symptom of achalasia
1. Regurgitation
2. Dysphagia
3. Heartburn
4. Weight loss

Correct answer: 2. Dysphagia

Explanation: Dysphagia is the most common symptom seen in 95% of the patients.
Initially it is more to liquids. In later stages both solids and liquids.
Regurgitation is the second most common symptom and earliest symptom.